All are seen in Tuberous sclerosis except
1. Iris Nodule
2. Renal Cortical Cyst
3. Rhabdomyoma of heart and lung
4. Adenoma Sebaceum

Correct answer: 1. Iris Nodule

Explanation: A i.e. Iris nodule